A receptor which itself has enzymatic property is
1. Insulin receptor
2. Progesterone receptor
3. Thyroxine receptor
4. Glucagonreceptor

Correct answer: 1. Insulin receptor

Explanation: Enzymatic property is seen with insulin receptorRef: KDT 6/e pg 43.